Which of the following is an indication for renal biopsy in a child with Nephritic syndrome ?
1. Age at onset 2-6 years
2. Low blood C3 levels
3. High selective proteinuria
4. Serum albumin less than Ig/dL

Correct answer: 2. Low blood C3 levels

Explanation: Kidney biopsy is performed on selected patients with kidney disease. Renal biopsy is usually reserved for patients with high or increasing levels of proteinuria, or for patients who have proteinuria along with other signs of renal dysfunction. One example is the nephrotic syndrome. Contraindications for renal biopsies (absolute and relative): a) Solitary kidneys b) Renal mass c) Advanced chronic renal failure d) Active urinary infection e) Uncontrolled hypertension f) Coagulation disorders g) Renal artery aneurysm h) Perinephric abscess i) Horsheshoe kidneys. Reference: GHAI Essential pediatrics, 8th edition